Causes of Hypocalcemia in a child are
1. DiGeorge syndrome
2. Hypoparathyroidism
3. Magnesium deficiency
4. All of above

Correct answer: 4. All of above

Explanation: Causes of hypocalcemia Hypoparathyroidism
DiGeorge syndrome PTH receptor defect (pseudohypoparathyroidism)
Magnesium deficiency Exogenous organic phosphate excess Vit D difecidecien